Most common cause of singers nodule is
1. Infection
2. Vocal abuse
3. Allergy
4. Carcinoma

Correct answer: 2. Vocal abuse

Explanation: Vocal nodules( Singer's nodules) They appear symmetrically on the free edge of vocal cord, at the junction of anterior one - third, with the posterior two - thirds, as this is the area of maximum vibration of the cord and this subject to maximum trauma. They are the result of vocal trauma when a person speaks in unnatural low tones for prolonged periods or at high intensities. Ref: Textbook of diseases of ENT, PL Dhingra, 7th edition, pg no. 343